All of the following drugs acts as potassium sparing diuretics, EXCEPT:
1. Spironolactone
2. Eplerenone
3. Triamterene
4. Thiazide

Correct answer: 4. Thiazide

Explanation: Potassium-sparing diuretics prevent K+ secretion by antagonizing the effects of aldosterone at the late distal and cortical collecting tubules. Inhibition may occur by direct pharmacologic antagonism of mineralocorticoid receptors (spironolactone, eplerenone) or by inhibition of Na+ influx through ion channels in the luminal membrane (amiloride, triamterene). Ref: Katzung, 11th edition, Chapter 15.